Uric acid is converted to allantoin in:
1. Catabolism of pyrimidines
2. Catabolism of purines
3. Synthesis of pyrimidines
4. Synthesis of purines

Correct answer: 2. Catabolism of purines

Explanation: Uric acid is the final excretory product of purine metabolism in humans. antioxidant by getting itself converted (non enzymatically) to allantoin